All are true about estrogen EXCEPT-
1. Causes cholestasis
2. Used in treatment of gynaecomastia
3. Used in HRT
4. Increased risk of breast cancer

Correct answer: 2. Used in treatment of gynaecomastia

Explanation: Ans. is 'b' i.e., Used in treatment of gynacomastia o Estrogen can cause gynaecomastia (not used in gynaecomastia), cholestasis and breast cancer. o One of the most important use of estrogen is HRT in postmenopausal females.